Intrauterine growth retardation can be caused by all except –
1. Nicotine
2. lcohol
3. Propranolol
4. Phenothiazine

Correct answer: 4. Phenothiazine

Explanation: Causes of LUG (small for date)
Environmental

Ethnic, racial and geographic
Social and economic status
Nutritional

Maternal

The short stature of mother
Primi or grand multipara
Young / adolescent mother (below 20 years)
Low pre-pregnancy weight
Smoking and tobacco or alcohol abuse
Maternal illness : anemia, heart disease, malaria
Complication of pregnancy : pre-eclampsia, hypertension
Previous similar baby

Placental factors

Disorders of implantation of the placenta, abruptio placenta
extensive placental infarcts and structural or function
abnormalities of the placenta. Single umbilical artery
vascular thrombosis also predispose to the birth of a small baby

Fetal factors

Firstborn babies are generally smaller
Genetics or chromosomal aberrations
Twining and multiple pregnancies
Intrauterine infections

Note:- 

In CRF there is hypertension which is one of the causes of IUGR.
Propranolol also causes IUGR.